A 40-year-old male presented with symptoms of anemia along with weight loss, night sweats, and low-grade fever.On examination, splenomegaly, petechiae, ecchymosis, lymphadenopathy was noted along with some features of portal hypertension.Lab findings revealed anemia, leukocytosis and thrombocytosis. Bone marrow aspiration reveals a dry tap. Bone marrow biopsy was taken and subjected to reticulin staining.. All of the following genes can be mutated in the above condition except: -
1. JAK2
2. CALR
3. MPL
4. ACTN3

Correct answer: 4. ACTN3

Explanation: This is a case of primary myelofibrosis. Primary myelofibrosis. Peripheral smear shows teardrop red blood cells (RBCs) and a leukoerythroblastic picture with nucleated RBC precursors and immature myeloid cells. Bone marrow biopsy from a patient with primary myelofibrosis shows extensive fibrosis which is confirmed by reticulin staining. Mutations in the JAK2, MPL, CALR, and TET2 genes are associated with most cases of primary myelofibrosis.